MIC-2- Marker of
1. Ewing sarcoma
2. Osteosarcoma
3. Dermatofibrous protruberans
4. Alveolar cell sarcoma

Correct answer: 1. Ewing sarcoma

Explanation: ., Ewing's sarcoma "MIC-2 is a specific marker for Ewing's sarcoma and peripheral primitive neuroectodermal tumours" "MIC-2 gene is a pseudoautosomal gene located on the short arms of the X and Y chromosomes and is a cell surface marker for Ewing's sarcoma and other members of family of tumour called primitive neuroectodermal tumour. CD99 or MIC-2 gene product or E2 antigen is expressed on the cell membrane of some lymphocytes, cortical thymocytes and granulosa cells of the ovary. The antigen is also expressed by most pancreatic islet cells, sertoli cells of the testis and some endothelial cells. Mature granulocytes express very little or no CD99. MIC-2 is strongly expressed on Ewing's sarcoma cells and primitive peripheral neuroectodermal cells.